If mother is vaccinated for rubella in preconception period. Chances of rubella infection in the child is after how much period after birth -
1. 1 month
2. 2 months
3. 6 months
4. 12 months

Correct answer: 3. 6 months

Explanation: Ans. is 'c' i.e., 6 months Maternal rubella antibodies (IgG) are transferred from vaccinated/immune mother to child during fetal life. These antibodies last for 6 months and provide protection. After this period, the infant is susceptible to rubella.